Which of the following is common side effect of cisplatin
1. Diarrhea
2. Vomiting
3. Pulmonary fibrosis
4. Alopecia

Correct answer: 2. Vomiting

Explanation: Ref-KDT 6/e p827,828 Drug of choice for cisplatin induced vomiting is 5HT3 antagonist like ondansetron